Infants of diabetic mother manifests all except
1. Hyperglycemia
2. Hypoglycemia
3. Hypocalcemia
4. Increased fetal defect

Correct answer: 1. Hyperglycemia

Explanation: Neonatal hypoglycemia is defined as a plasma glucose level below 40mg/dl. Hypoglycemia is caused by hyperinsulinemia due to hyperplasia of fetal pancreatic beta cells consequent to maternal-fetal hyperglycemia. Because the continuous supply of glucose is stopped after birth, the neonate develops hypoglycemia because of insufficient substrate. Hypoglycemia is d/t diminished production of parathormone after birth and is defined as serum calcium level less than 7mg/dl in term babies. There is a higher risk of congenital malformations in infants born to diabetic mother-25% risk when the HbA1c level in the first trimester is > 10%. Reference : page 243 Textbook of Obstetrics Sheila Balakrishnan 2nd edition and page 181 Ghai Essential Pediatrics 8th edition